The most common cause of non union is
1. Infection
2. Inadequate immobilization
3. Ischaemia
4. Soft tissue interposition

Correct answer: 2. Inadequate immobilization

Explanation: B i.e. Inadequate immobilization